The fascia around the nerve bundle of brachial plexus is derived from
1. Prevertebral fascia
2. Deep cervical fascia
3. Clavipectoral fascia
4. Pectoral fascia

Correct answer: 1. Prevertebral fascia

Explanation: The fascia around the brachial plexus is called axillary sheath and is a derivative of prevertebral fascia Axillary sheath covers brachial plexus and axillary vessels Axillary sheath localises the anesthetic solution to the nerve plexus. Ref : Gray's Anatomy The Anatomical Basics of Clinical Practice 41 e pg 777